Most common pathogen causing, pulmonary infection in cystic fibrosis in infants & young children is
1. Staphylococcus Aureus
2. Pseudomonas Aeroginosa
3. Bukholderia Cenocapacea
4. Nontubercular mycobacteria

Correct answer: 1. Staphylococcus Aureus

Explanation: Answer is A (Staphylococcus Aureus): Staphylococcus Aureus (Methicillin sensitive) are the most common pathogen isolated in sputum of children with cystic fibrosis during the first decade. The most prevalent pathogen to cause pulmonary infection in cystic fibrous during childhood is staphylococcus aureus. Pseudomonas aeroginosa becomes the most common organism in adolescents and adults. Hemophilus influenza is also seen in early life (2-5 years) and its frequency decreases with age. Bukholderia capacia is also infrequent but its incidence increase with age. Stenotrophomonos is an infrequent organism seen at any age. - USMLE Step III: Review/Q1 Case 7 The most common cause of pneumonia in a patient with cystic, fibroses is Pseudomonas aeroginosa, but initial infection is most often due to staphylococcus aureus'- Microbiology: Pearls of Wisdom' by Booth (Jones & Barlett) 2000/203 Bronchial Ademoma and Bronchial Cysts